PQLI includes all EXCEPT
1. Infant mortality rate
2. Life expectancy at 1 year
3. Literacy rate
4. Per capita Income

Correct answer: 4. Per capita Income

Explanation: (D) Per capita Income # The physical quality of life index (PQLI) commodities three indicators viz.> Infant mortality, life expectancy at age one, and literacy.> These three components measure the results rather than inputs.> As much they lend themselves to international and national comparison.> The "Physical quality of life index" is one such index. It consolidates there indicators, viz. infant mortality, life expectancy at age one, and literacy.# PQLI (Mnemonic: LLI) Literacy rate Life expectancy at 1 year IMR> PQLI ranges from D to 100> PQLI in India is 65# HDI:1. Literacy rate, 2. Income, 3. Life expectancy at Birth> Developed countreis HDI: > 0.8 (USA, Canada, Norway)> Developing countries HDI: 0.5-0.79 (India)> Under developed HDI: <0.5 (Seria, Ethiopia)